All are features of anterior interosseous nerve (AIN) syndrome except
1. There is sensory loss on the medial 2 fingers
2. Inability to perform OK-sign (approximate thumb and tip of index finger)
3. AIN is entrapped under pronator teres, flexor digitorum profundus, flexor carpi radialis
4. Conservative treatment generally, surgery rarely

Correct answer: 1. There is sensory loss on the medial 2 fingers

Explanation: There is sensory loss on the medial 2 fingersThere is no sensory impairment in anterior interossous nerve (AIN) syndrome.